Not a feature of Mature Senile Cataract among the  following is
1. Pearly white colored
2. Diminision of Vision
3. Glare
4. Iris shadow

Correct answer: 4. Iris shadow

Explanation: Iris shadow is absent in mature senile cataract.